Glander's disease is caused by
1. Pseudomonas aeruginosa
2. Burkholderia mallei
3. Burkholderia pseudomallei
4. None of the above

Correct answer: 2. Burkholderia mallei

Explanation: Glanders disease # Gram(-) bacillus, Burkholderia mallei # Caused by contact w/ infected horses or donkeys . Four forms: - * Localized--hemorrhagic, ulcerative papulopustule at inoculation site * Chronic--multiple soft tissue nodules ("farcy buds") on skin overlying lymphatics * Septicemic form--moality rate >95% without treatment and 50% w/ treatment * Pulmonary form--moality similar to septicemic form Treatment: - * Localized disease: 60- to 150-day course of amoxicillin/clavulanate, doxycycline, or TMP/SMX. * Septicemic: IV carbapenems + ciprofloxacin or doxycycline. Ref:- Review of Dermatology by Alikhan; pg num:-298